Which of the following nipple discharge is most probably physiological-
1. B/L spontaneous discharge
2. B/L milky discharge with squeezing from multiple ducts
3. U/L bloody discharge
4. U/L bloody discharge with squeezing from a single duct

Correct answer: 2. B/L milky discharge with squeezing from multiple ducts

Explanation: Answer- B, B/L milky discharge with squeezing from multiple ductsNipple discharge is classified as pathologic if it is spontoneous, unilateral, blaody, serous, clear, or associated wlth a mass.Physiological discharge is usually bilateral, involves multiple ducts, and is assoctated with nipple stimulation or breast compression.Unilateral, localized to a single duct.The most common cause of spontaneous nipple discharge from a single duct is a solitary intraductal papilloma.